Which of the following statements regarding vitamin A is TRUE?
1. Vitamin A promotes maintenance of epithelial tissue
2. Vitamin A is necessary for hearing but not for vision
3. Vitamin A is synthesized in skin
4. All vitamin A derivatives are safe to use during pregnancy

Correct answer: 1. Vitamin A promotes maintenance of epithelial tissue

Explanation: Vitamin A is essential for the normal differentiation of epithelial tissue as well as normal reproduction. Yellow and dark green vegetables as well as fruits are good sources of carotenoids, which serve as precursors of vitamin A. However, egg yolk, butter, cream, and liver and kidneys are good sources of preformed vitamin A. Vitamin A is necessary for vision, not hearing. The visual pigment rhodopsin is formed from the protein opsin and 11-cis-retinal. Accutane causes birth defects of the face and brain if taken during the first trimester of pregnancy. Vitamin A is not synthesized in the skin. Vitamin D (derivatives of calciferol) can be synthesized in the skin under the influence of sunlight from 7-dehydrocholesterol, an intermediate in cholesterol synthesis. Ref: Bender D.A. (2011). Chapter 44. Micronutrients: Vitamins & Minerals. In D.A. Bender, K.M. Botham, P.A. Weil, P.J. Kennelly, R.K. Murray, V.W. Rodwell (Eds), Harper's Illustrated Biochemistry, 29e.